Aniseikonia means -
1. Difference in the axial length of the eyeballs
2. Difference in the size of cornea in both eyes
3. Difference in the size of pupil in both eyes
4. Difference in the size of image formed by the two eyes

Correct answer: 4. Difference in the size of image formed by the two eyes

Explanation: Ans. (d) Difference in the size of image formed by the two eyesRef: Parsons 22/e, p. 283, 613Aniseikonia is defined as a condition where the images projected on the visual cortex from the two retinae are abnormally unequal in size or shape.